Lower border of lung is upto which level of rib at mid-axillary line
1. 6
2. 8
3. 10
4. 12

Correct answer: 2. 8

Explanation: Lower border of lung crosses 6th rib in midclavicular line,8th rib in mid-axillary line 10th rib at lateral border of erector spinae. BD CHAURASIA'S HUMAN ANATOMY VOLUME 1. 6TH EDITION Page no 237